Mainstay of treatment of uveitis -
1. Antibiotics and cycloplegics
2. Steroids and cycloplegics
3. Antibiotics and steroids
4. Surgery

Correct answer: 2. Steroids and cycloplegics

Explanation: Treatment depends on severity A common treatment is eye drops that ease the inflammation. If uveitis is a result of an infection, antibiotics or antiviral medication may be prescribed. Most cases ofuveitis can be treated with steroidmedication (corticosteroids). A medicine called prednisolone is usually used. Corticosteroids work by disrupting the normal function of the immune system so it no longer releases the chemicals that cause inflammation. The immunosuppressive agents that have been used in treatment ofuveitis include cyclophosphamide, chlorambucil, azathioprine and methotrexate. ... Azathioprine is given usually in a dose of 50 to 150 mg/day,while methotrexate can be given as a weekly oral or intramuscular dose of 7.5 to 25 mg. Ref khurana 6/e